Under National Program for Control of Blindness, District blindness control society is headed by
1. District program manager
2. District collector
3. District eye surgeon
4. District health officer

Correct answer: 2. District collector